In Mafan's syndrome lens dislocation is commonly Seen-
1. Upwards
2. Downwards
3. Supero-temporally
4. Nasally

Correct answer: 3. Supero-temporally

Explanation: Marfan's syndrome:It is an autosomal dominant mesodermal dysplasia.In this condition lens is displaced upwards and temporally(supero-temporally). REF IMG